Which is not a neuronal tumor
1. Ependymoma
2. Neuroblastoma
3. Gangliocytoma
4. Ganglioglioma

Correct answer: 1. Ependymoma

Explanation: Refer Robbins page no 1306